Most common mode of ttransmission of polio virus-
1. Droplet infection
2. Fecal-oral route
3. Blood transfusion
4. Vertical transmission

Correct answer: 2. Fecal-oral route